Which among the following is FALSE regarding Thallium poisoning ?
1. Can be used as Ideal homicidal poison
2. Chronic poisoning of Thallium causes alopecia, skin rashes, painful peripheral neuropathy
3. Cannot be detected even in ashes of burnt body
4. Mees' lines can be seen on nails

Correct answer: 3. Cannot be detected even in ashes of burnt body

Explanation: Thallium poisoning Odourless, tasteless and water soluble Hair loss Mee's line Chronic poisoning of Thallium causes alopecia, skin rashes, painful peripheral neuropathy Can be detected even in ashes of burnt body Death due to respiratory failure. Mee's lines are seen in arsenic poisoning. Not specific only for arsenic. Mee's lines are also found in Arsenic, thallium poisoning, & chemotherapy.